Investigation of choice for spinal tuberculosis
1. X-ray
2. CT-Scan
3. Open biopsy
4. MRI

Correct answer: 4. MRI

Explanation: Ans. is 'd' i.e., MRI Investigations in musculoskeletal system Investigation of choice for AVN Hip MR1 Best initial test for osteomyelitis -9 Plain x-ray Best second line test for osteomyelitis (if there is high clinical suspician and x-ray is negative) --> MRI Most accurate diagnostic test for osteomyelitis Bone biopsy and culture. Best view for scaphoid fracture --> Oblique (scaphoid) view of wrist. Best view for C1-C2 vertebrae & junction -* Open mouth odontoid (Pegs) view. Investigation of choice for ACL & PCL injury MRI Investigation of choice to detect calcification --> CT scan Investigation of choice for prolapsed intervertebral disc --> MRI Investigation of choice for spinal tuberculosis -4 MRI Investigation of choice for traumatic paraplagia --> MRI Gold standard and investigation of choice for osteoporosis --> Dual energy x-ray absorptiometry (DEXA).